Anterior colporrhaphy and colpoperineorraphy is known as:
1. Ward mayo surgery
2. Shirodhkar repair
3. Manchester repair
4. Pelvic floor repair

Correct answer: 4. Pelvic floor repair

Explanation: Ans- D Pelvic floor repair Ref: Dutta's textbook of gynecology. 5th ed. Pg 211 A Shaw s textbook of gynecology, 15th ed. Pg 338. Explanation: Anterior colporrhaphy and colpoperineorraphy is known as pelvic floor repair. COMPONENTS OF WARD MAYO SURGERY Anterior colporrhaphy Colpoperineorraphy Vaginal hysterectomy FOTHERGILI2S REPAIR/MANCHESTER REPAIR Anterior colporrhaphy Amputation of cervix Suturing cut ends of Meckendrodt's ligaments in front of cervix Covering the raw area of amputated cervix with vaginal mucosa Colpoperiniorraphy SHIRODKAR'S REPAIR: (MODIFIED FOTHERGILL'S REPAIR) No cervical amputation The POD is opened. Uterosacral ligaments identified and divided close to cervix and the stumps are crossed and situated together in front of cervix High closure of POD